Which of the following skeletal muscle relaxants undergo hoffman's elimination?
1. Atracurium
2. Succinylcholine
3. Mivacurium
4. Vecuronium

Correct answer: 1. Atracurium

Explanation: Atracurium is inactivated by -1) Hoffman's elimination, 2) alkaline ester hydrolysisCisatracurium is inactivated by Hoffman's elimination(Refer: stoelting's pharmacology and physiology in anaesthetic practice, 5th edition, pg no.328)